Which of the following is role of progestogens?
1. Inhibits ovulation
2. Protects against endometrial cancer
3. Causes prompt withdrawal bleeding
4. All

Correct answer: 4. All

Explanation: Ans. d. All. (Ref. William's Obstetrics - 21st ed., - 1531; KD Tripathi 5th1- 282, 283)PROGESTINS# Progestin is weak inhibitor of GH secretion from pituitary, decrease frequency of LH pulses & prevents ovulation.# Progestin is palliative in about 50% cases of advanced Ca endometrium.# It is used as prophylaxis for prevention of Ca endometrium.# Irregular bleeding/amenorrhea can occur, if progestin is given continuously.# Progesterone only pills are ideal contraceptive in sickle cell disease.